During delivery there is a perineal tear involving the anal sphincter but anal mucosa is not involved. Which is the degree of tear?
1. I
2. II
3. III
4. IV

Correct answer: 3. III

Explanation: Ans. (c) IIIRef. DC Dutta 7th ed./ 422-23PERINEAL TEARS1st degreeIs a laceration of the vaginal mucosa and the perineal skin but not the underlying fascia and muscle.2nd degreeInvolves the vaginal mucosaperineal skinand the fascia and muscles of the perineal body.3rd degreeInvolves the vaginal mucosaskin and perineal body and the anal sphincter is also disrupted4th degreeIn additionthe rectal mucosa is also torn.